The class of amino acids that contains only non essential amino acids is
1. Acidic
2. Basic
3. Aromatic
4. Branched chain

Correct answer: 1. Acidic